A patient in ICU and on ventilator develops cough with fever. The gram-staining on microscopy will show:
1. Gram negative cocci
2. Gram negative bacilli
3. Gram positive bacilli
4. Gram variable organism

Correct answer: 2. Gram negative bacilli

Explanation: Ans. is. 'b' i. e., Gram negative bacilli